Kupffer cells are a type of-
1. Dendritic cells
2. Macrophages
3. B cells
4. T cells

Correct answer: 2. Macrophages

Explanation: Ans. is 'b' i.e., MacrophagesMonocytes and monoculear phagocyteso Mononuclear phagocytes (MP) also known as macrophages or histiocytes are distributed throughout virtual all tissues.o The macrophage is the dominant cellular player in chronic inflammation.o MP arise from monoblast in the marrow, and they are released into the circulation as monocytes. a The monocytes then migrate to tissues and become part of the tissue (fixed) macrophages.Mononuclear macrophageso Blood macrophages-Monocyteso Tissue macrophages-Histocyteso Lung-Alveolar macrophageso Brain-Microgliao Liver-Kupffer cellso Bone-Osteoclastso Kidney-Mesangial cells